Modern monitors to measure ETCO2 make use of ?
1. Infrared absorption spectroscopy
2. Ultra violet rays
3. Laser technology
4. Scatter technology

Correct answer: 1. Infrared absorption spectroscopy

Explanation: Ans. is 'a' i.e., Infrared absorption spectroscopy Measurements of variations in the respiratory cycle of expired carbon di oxide by displayed waveform and by absolute numerical values is defined as Capnography and Capnometry respectively. Measurement of the exhaled CO2 at the level of upper airway at the end of expiration (when CO2 is at its maximum) is referred to as end tidal CO2 (EtCO2). Modern monitors used to measure EtCO2 in the exhaled air make use of infrared absorption spectroscopy